A patient presents with depressed mood, loss of sleep, loss of hope, feeling of worthlessness and diminished concentration for last 1 month. Which of the following is the drug of choice in this patient?
1. SSRIs
2. Atypical antidepressants
3. Lithium
4. Tricyclic antidepressants

Correct answer: 1. SSRIs

Explanation: The diagnosis in this patient would be depression. SSRIs are usually used as the first antidepressants as they have a much better side effect profile than other antidepressants